Granular layer is absent in:
1. Ichtyosis vugaris
2. X linked ichthyosis
3. Epidermolytic hyper keratosis
4. Lamellar ichthyosis

Correct answer: 1. Ichtyosis vugaris

Explanation: A i.e. Ichtyosis vugaris Icthyosis vulgaris - Icthyosis vulgaris is autosomal dominant disorderQ, occurring due to reduced or absence of filaggrin protein and granular layerQ. It presents with dry scaly skin resembling fish (reptile or crocodile) skin K/a sauroderma. AD means one parent should also manifest disease. It is a congenital condition which is not present at birth but develops during first year of life. - Dirty looking large mosaic like scales most commonly over anterior (extensor) surface of legs. Major flexors (axillae, groins, popliteal & cubital fossa) are always and face is usually spared; though cheeks & forehead may be rarely involved. Condition improves in humid & summers and deteriorates in winter. It may be associated with atopic diathesis, keratosis pilaris, hyper linear & exaggerated palm & sole creases, and occasionally, keratoderma.